Feature of fetal R.B.C. -
1. Alkali denaturation resistant
2. Small in size
3. Has more 2,3 DPG level
4. More iron than adult RBC

Correct answer: 1. Alkali denaturation resistant

Explanation: Fetal hemoglobin in contrast to Hb A shows the following -increased solubility of deoxy HbF, slower electrophoretic mobility for HbF, increased resistance of HbF to alkali denaturation, HbF has decreased interaction with 2,3-BPG.

DM Vasudevan textbook of biochemistry sixth edition pg no 259